Which is not a DNA virus ?
1. Parvovirus
2. Papovavirus
3. Poxvirus
4. Rhabdovirus

Correct answer: 4. Rhabdovirus

Explanation: Ans. is 'd' i.e., Rhabdovirus